Ovulation is primarily caused by preovulatory surge of:
1. Estradiol
2. Luteinizing hormone
3. Progesterone
4. Follicle stimulating hormone

Correct answer: 2. Luteinizing hormone

Explanation: B i.e. LH A surge in LH secretion triggers ovulation and ovulation normally occurs about 9 hours after the peak of the LH surge at midcycle'Q